Most common symptom of posterior uveitis ?
1. Pain
2. Photophobia
3. Lacrimation
4. Diminished vision

Correct answer: 4. Diminished vision

Explanation: Ans. is 'd' i.e., Diminished vision Clinical features of posterior uveitis Choroiditis (chorioretinitis) is usually insidious (unlike anterior uveitis, which is acute most of the time). There is no pain, photophobia, lacrimation or circumcorneal congestion. Most prominent symptom is diminished vision especially if the lesion involves macula, maculopapillary bundle and optic nerve. Other symptoms are black spots floating in front of the eye, metamorphosia, tnicropsia, macropsia, positive scototna. On examination following signs may be seen :? Vitreous opacities :- Fine, coarse, stringy or snowball opacities. Pale yellow or dirty white raised area of choroid.